True about orientation jaw relation is
1. It establishes the relationship of the maxilla to the base of the skull or cranium.
2. It establishes the angle or tilt of the maxilla in the three reference planes.
3. Both
4. None

Correct answer: 3. Both

Explanation: It establishes the relationship of the maxilla to the base of the skull or cranium.
Basically, it establishes the angle or tilt of the maxilla in the three reference planes. The mandible moves against a fixed maxilla and to accurately reproduce mandibular movements, it is necessary to establish and record the tilt of the maxilla.